Acquired extra – cranial infection that causes aqueductal Stenosis is –
1. Bacterial endocarditis
2. Mumps
3. Measles
4. Staphylococcal septicemia

Correct answer: 2. Mumps

Explanation: Aqueductal stenosis -
Causes of acquired aqueductal stenosis

Neonatal meningitis                       o Intrauterine viral infections
Subarachnoid hemorrhage              o Mumps meningoencephalitis